Which type of RNA has the highest percentage of modified base:
1. mRNA
2. tRNA
3. rRNA
4. snRNA

Correct answer: 2. tRNA

Explanation: Type Percentage Characteristic feature Synthesis rRNA 80% Most abundant Nucleous tRNA 15% Smallest, Maximum modified bases Nucleus mRNA 5% Most heterogenous Nucleus